Which of the following is not a feature of mediastinal syndrome
1. Dysphagia
2. Intercostal neuralgia
3. Hoarseness of voice
4. Engorgement of Veins in lower half of body

Correct answer: 4. Engorgement of Veins in lower half of body

Explanation: Mediastinal syndrome other name for SVC syndrome or It involves veins of upper half of body.